Predominantly sensory neuropathy is/are caused by-a) Cisplatinb) Pyridoxine excessc) Diphtheriad) Guillain-Barre syndrome
1. ab
2. a
3. ad
4. bc

Correct answer: 1. ab